Hamman's sign is seen in -
1. Achalasia Cardia
2. Diffuse Oesophageal Spasm
3. Oesophageal perforation
4. Carcinoma Oesophagus

Correct answer: 3. Oesophageal perforation